Grisel syndrome all are true except
1. Post-adenoidectomy
2. Conservation treatment
3. Inflammation of cervical spine ligaments
4. No need for neurosurgeon

Correct answer: 4. No need for neurosurgeon

Explanation: Ans. d. No need for neurosurgeon Grisel Syndrome: Non-traumatic atlanto-axial subluxation may occur secondary to any inflammatory process in the upper neck It is described following tonsillectomy and adenoidectomy Conservation treatment: Cervical immobilization, Analgesia and Antibiotics to reduce the risk of neurological deficit Grisel Syndrome Non-traumatic atlanto-axial subluxation may occur secondary to any inflammatory process in the upper neckQ Due infection in the peri-odontoid vascular plexusQ that drains the region, bringing about paraspinal ligament laxity Described following tonsillectomy and adenoidectomyQ It maybe associated with overuse of diathermy either for removal of adenoid or following curettageQ, when used for hemostasis. Children with Down syndromedeg have atlanto-axial instability Treatment: Cervical immobilizationQ AnalgesiaQ AntibioticsQ to reduce the risk of neurological deficit